All of the following are sexually transmitted, Except –
1. Candida albicans
2. Echinococcus
3. Molluscum contagiosum
4. Group B streptococcus

Correct answer: 2. Echinococcus

Explanation: Echinococcus granulosus (Hydatid disease) is not a STD. All other three options are STDs.